Regarding the lipid or liposomal formulation of amphotericin B which of the following statements is accurate
1. They are expensive to use than conventional amphotericin B
2. There are more effective in fungal infections than conventional preparations because they increase tissue uptake of amphotericin B
3. They may decrease the niprotoxicity of amphotericin B
4. They have wider spectrum of antifungal activity than conventional formulation of amphotericin B

Correct answer: 3. They may decrease the niprotoxicity of amphotericin B

Explanation: Ref-KDT 6/e p758 Newer liposomal preparations of amphotericin B have the following features: Less chances of nephrotoxicity and infusion related reactions Lesser uptake in the tissues like kidney More expensive Similar in efficacy and antifungal spectrum as conventional preparations